Main arterial supply to the tongue is:
1. Ascending palatine artery
2. Ascending pharyngeal artery
3. Lingual artery
4. Facial artery

Correct answer: 3. Lingual artery